Test for De-quervain's tenovaginitis -
1. Cozen test
2. Finkelstein test
3. Kanavel's sign
4. Phalen test

Correct answer: 2. Finkelstein test

Explanation: Ans. is 'b' i.e., Finkelstein test o De-Quervian's teno vaginitis is characterized by pain over the styloid process of the radius and palpable thickening in the course of the abductor pollicis longus and extensor pollicis brevis tendons.o The condition is five times commoner in women than men, predominantly in middle age.o The main symptom is pain on using the hand, especially when movement tenses the abductor pollicis longus and extensors pollicis brevis tendons (as in lifting a saucepan or a teapot)o On examination, there is local tenderness at the point where the tendons cross the radial styloid processo The thickened fibrous sheath are usually palpable as firm noduleo Passive adduction of the wrist or thumb causes the patient to wince with pain.o Finkelstein's test is used to diagnose De-Quervain's tenovaginitis.o To perform the test, the patients ask to flex their thumb and clench their fist over the thumb followed by ulnar deviation. This produces sharp pain along the distal radius.